In patient with chronic pancreatitis limited to tail and body with MPD diameter 4mm, ideal treatment would be
1. Stenting
2. Puestow's operation
3. Frey's operation
4. Distal pancreatectomy

Correct answer: 4. Distal pancreatectomy

Explanation: Surgical procedures in chronic pancreatitis Ideal procedure : DPPHR (Beger's) In presence of portal vein thrombosis : Frey's Small duct disease : V-shaped excision Disease recurrence in body and tail (after DPPHR, Whipple's or Longmire-Transverso procedure) : V-shaped drainage Disease limited to tail : Spleen - preserving distal pancreatectomy Ref: Sabiston 20th edition Pgno :1534